3-4 months baby with heart rate 250/min, QRS complex less than 0.07 sec and no P wave, Diagnosis will be :
1. SVT
2. Sinus tachycardia
3. PSVT with block
4. VT

Correct answer: 1. SVT

Explanation: SVTs are the most common symptomatic arrhythmias in all children including neonates.
SVTs usually have
Rate > 200 beats/minute
Normal or narrow (<0.07 sec, A wide QRS > 0.07 sec favors diagnosis of ventricular tachycardia).
Ventricular complexes on the surface ECG.